All true about accidental intrarterial injection of thiopentone except-
1. Immediate intense vasoconstriction and excruciating pain
2. Cause is precipitation of thiopental crystalls in the arterial vessels
3. To relieve pain we have to immediately remove the misplaced arterial cannula
4. Stellate ganglion block is one of the treatment modality

Correct answer: 3. To relieve pain we have to immediately remove the misplaced arterial cannula

Explanation: The accidental intrarterial injection of drug by wrongly placed cannula M/N- 1 Leave the cannula 2 Intrarterial injection of heparin 3 Lidocaine, papaverine, phenoxybenzamine injected 4 Stellate ganglion block